Cis–atracurium is preferred over atracurium, because :
1. It has rapid onset of action
2. It causes less release of histamine
3. It has short duration of action
4. It has less depressant action on heart

Correct answer: 2. It causes less release of histamine